All of the following are true about dermatitis herpetiformis except:
1. Severe itchy skin lesions over extensor surfaces
2. Most of the patients have underlying coeliac disease
3. It is characterized by IgE anitbodies against TTG : Tissue transglutaminase
4. Dapsone is the drug of choice

Correct answer: 3. It is characterized by IgE anitbodies against TTG : Tissue transglutaminase

Explanation: IgA antibodies are seen against TTG.